30-year-old G3P2 patient visits an antenatal clinic at 20 weeks. She reveals during history that her first baby was 4.6 kg delivered by cesarean section, second baby was 4-8 kg delivered by c/section. Gynaecologists suspects gestational diabetes and orders a GCT. The blood sugar levels after 50 gms of oral glucose are 206 mg/dl and the patient is thus confirmed as a case of gestational diabetes. All of the following are known complications of this condition except:
1. Susceptibility for infection
2. Fetal hyperglycemia
3. Congenital malformations in fetus
4. Neonatal hypoglycemia

Correct answer: 3. Congenital malformations in fetus

Explanation: In the question, patient is presenting to the antenatal clinic at 20 weeks and is diagnosed as a case of gestational diabetes.
Note: Patients blood sugar levels after 50 gms of glucose i.e. after glucose challenge test are 206 mg/dl. Recall that if, after GCT blood sugar values are ≥ 200 mg/dl, there is no need for further testing by GTT and patient is diagnosed as a case of gestational diabetes.
As discussed in the text – in gestational diabetes, blood sugar levels are raised beyond 20-24 weeks of pregnancy, due to insulin resistance and hence free radicals (responsible for causing congenital malformations) are formed after 20-24 weeks and therefore it does not lead to congenital malformation as organogenesis is already complete by this age. Rest all options are complications of diabetes.